A 30-year-old male patient has a large, spreading and exuberant ulcer with bright red granulation tissue over the glans penis. There was no lymphadenopathy. The most likely causative organism is –
1. Treponema pallidum
2. Herpes simplex virus type 1
3. Herpes simplex virus type 2
4. Calymmatobacterium granulomatis

Correct answer: 4. Calymmatobacterium granulomatis

Explanation: Two important clues in this question are :-


Exuberant granulation tissue → Diagnosis is granuloma venerum
No lymphadenopathy → Diagnosis is granuloma venerum